Most common cause of meningitis in alcoholics is
1. Klebsiella
2. Staphylococcus
3. Pneumococcus
4. Haemophilus

Correct answer: 3. Pneumococcus

Explanation: Meningitis results only when host resistance is lowered by contributory factors such as respiratory viral infections, pulmonary congestion, stress, malnutrition, immunodeficiency or alcoholism. Splenectomy and sickle cell disease are important predisposing conditions. Ref: Textbook of microbiology; Ananthanarayan and paniker's; Pg:227